Inverse agonist of the benzodiazepine receptor is:
1. Phenobarbitone.
2. Flumazenil.
3. Beta carboline.
4. Gabapentin.

Correct answer: 3. Beta carboline.